True of case control studies -
1. It proceeds from cause to effect
2. Odds ratio can be calculated
3. Incidence can be calculated
4. Needs many patients

Correct answer: 2. Odds ratio can be calculated